An epidemiological hypothesis should specify the following except-
1. Population
2. Time response relationship
3. Geographical trends
4. Expected outcome

Correct answer: 3. Geographical trends

Explanation: an epidemiological hypothesis should specify certain factors which incudes 1.the study population.the population in which the outcomes relative to the proposed hypothesis has to be obtained. 2.time response relationship must be emphasised before the confirmation of outcomes on testing the hypothesis. 3.formulation of aa expected outcome. ref:park's textbook,ed 22,pg no 77